Which appendix pain is referred to suprapubic region?
1. Preileal
2. Postileal
3. Pelvic
4. Paracolic

Correct answer: 3. Pelvic

Explanation: Ans. (c) PelvicRef: Internet SourcesDifferent positions of appendix will produce some typical symptoms:* Pelvic appendix -- suprapubic pain* Retroileal appendix -- can cause testicular pain due to irritation of spermatic artery or ureter